All the following features are true about Brunner Glands except
1. Present in Lamina Propria of Duodenum
2. Secretes Alkaline mucus and NaHCO3
3. Secretes Urogastrin Hormone
4. Stimulates Epithelial proliferation

Correct answer: 1. Present in Lamina Propria of Duodenum

Explanation: They are present in Submucosa. Brunner glands secrete a mucous, alkaline fluid in response to parasympathetic stimulation. This fluid helps neutralize the acidic chyme that enters the duodenum from the pyloric stomach. The glands also manufacture the polypeptide hormone urogastrone (also known as human epidermal growth factor), which is released into the duodenal lumen along with the alkaline buffer. Urogastrone inhibits production of HClReference: Krishna Garg Histology; 5th edition